A 55-year-old woman is noted to have a traumatic injury to her right thigh. Which of the following is most sensitive for the diagnosis of compartment syndrome
1. Pulselessness
2. Paresthesias
3. Pain
4. Pallor

Correct answer: 3. Pain

Explanation: Pain, typically severe and even out of proportion to the injury, represents the first and most sensitive symptom of compartment syndrome. Pain, however, is extremely nonspecific. Pulselessness represents a very late finding, and therefore the finding of a palpable pulse should not exclude compartment syndrome in the differential diagnosis.